Burst abdomen most commonly occurs on the
1. 2nd day
2. 3rd day
3. 7th day
4. 9th day

Correct answer: 3. 7th day

Explanation: Ans. is 'c' i.e., 7"' day